A 56-year-old African-American man with COPD comes to the physician for a routine examination. His average diurnal ambulatory blood pressure is 148/92 mmHg. Laboratory studies show creatinine level of 3.2 mg/dL and a potassium level of 5.6 mg/dL. 
Which of the following medications would most likely be considered the first-line treatment in this patient?
1. Amlodipine
2. Doxazosin
3. Propranolol
4. Pamipril

Correct answer: 1. Amlodipine